The “World Anesthesia day” is celebrated every year on:
1. 16th October
2. 7thApril
3. 15th August
4. 1st December

Correct answer: 1. 16th October